The parotid duct is known as -
1. Wharton's duct
2. Stenson's duct
3. Duct of Santorini
4. Duct of wirsung

Correct answer: 2. Stenson's duct

Explanation: Ans. is 'b' i.e., Stenson's duct Ducts of salivary glands * Parotid gland -->Stensen's duct (opens at upper 2nd molar tooth)* Submandibular gland -->Wharton's duct (opens into the papilla just lateral to the frenulum)* Sublingual gland -->ducts of Rivinus, Bartholin duct(Sublingual gland secretes tiny openings(ducts of Rivinus) directly into the floor of mouth or several ducts which uniteto form the common sublingual duct (Bartholin) which then merges withWharton's duct)